A 30-year-old woman with diabetes mellitus presents to her physician at 19 weeks' gestation. She is obese and did not realize that she was pregnant until recently. She also has not been "watching her sugar" lately, but is now motivated to improve her regimen. A dilated ophthalmologic examination shows no retinopathy. An ECG is normal. Urinalysis is negative for proteinuria. Laboratory studies show: * Hemoglobin A 1 c: 10.8% * Glucose: 222 mg/dL * Thyroid-stimulating hormone: 1.0 |iU/mL * Free thyroxine: 1.7 ng/dL * Creatinine: 1.1 mg/dL Q. In which of the following condition the risk of developing it is same In diabetics as the general population:
1. Asymptomatic bacteriuria
2. Preeclampsia
3. Congenital adrenal hyperplasia
4. PPH after delivery

Correct answer: 3. Congenital adrenal hyperplasia

Explanation: In this question patient is presenting with overt DM ie she had DM before pregnancy also. Cogenital adrenal hyperplasia has also the same risk of developing above condition in diabetic as well as non diabetic. Ref : dutta 7th edi